Characteristic feature of atopic dermatitis is -
1. Pruritus
2. Dennies Lines
3. Scaling skin
4. Rash

Correct answer: 1. Pruritus

Explanation: ATOPIC DERMATITIS:-Atopic eczema.Chronically relapsing skin disorder that usually begins at infancy characterised by pruritus,xerosis and eczematisation. Clinical features-Infantile phase:- AD more acute with predominantly involving face,scalp and extensor surfaces of extremities.Typically there are papules,vesicles,excoriations and exudation. Childhood phase:-Lichenification and localisation of rash to the flexural folds of extremities. Adults:-Lichenification and skin prone to itching and inflammation. pruritus is the characteristic feature of atopic dermatitis. Ref Harrison20th edition pg 2156